Granulosa cells produces estrogen with the help of the enzyme:
1. Alkaline phosphatase
2. Aromatase
3. Acid phosphatase
4. Glucuronidase

Correct answer: 2. Aromatase

Explanation: Ans. is b, i.e. AromataseAndrogen produced by theca cells is converted to estrogen in granulosa cells with the help of enzyme aromatase.